Epiphyseal dysgenesis is a feature of-
1. Hyperparathyroidism
2. Hypoparathyroidism
3. Hypothyroidism
4. Hyperthyroidism

Correct answer: 3. Hypothyroidism

Explanation: Epiphyseal dysgenesis means fragmented/punctate epiphysis.
Epiphyseal dysgenesis is characteristic of hypothyroidism.